Best way to prevent gas gangrene is
1. Imnunoglobulins
2. Hyperbaric oxygen
3. Proper wound debridement
4. Anti gas gangrene serum

Correct answer: 3. Proper wound debridement

Explanation: .Prevention of gas gangrene * Proper debridement of devitalised crushed wounds * Devitalised wounds should not be sutured. * Adequate cleaning of the wounds with H2O2 and normal saline. * Penicillin as prophylactic antibiotic. ref:SRB's manual of surgery,ed 3,pg no 46